The cap stage in tooth development is characterized by
1. morphodifferentiation
2. reversal of functional polarity
3. formation of hammock ligament
4. Increased mitotic activity

Correct answer: 4. Increased mitotic activity

Explanation: Mitosis or proliferation of cells occurs mainly in bud, cap and early bell stage. For morphodifferentiation the important stage is advanced bell stage. Reversal of the functional polarity occurs in the organizing stage of life cycle of ameloblasts. Cushion hammock ligament is hypothesized as an important structure for tooth eruption.